Which is the best screening test to evaluate hearing in a neonate?
1. Pure Tone Audiometry
2. Stapedial Reflex
3. Otoacoustic Emissions
4. Brainstem evoked auditory response

Correct answer: 3. Otoacoustic Emissions

Explanation: Otoacoustic emissions (OAEs) are objective, noninvasive, and rapid measures (typically less than 2 minutes) used to determine cochlear outer hair cell function. OAE testing is commonly used in newborn hearing screening because of its speed and noninvasive nature. It is also used in confirming pure-tone test results obtained from young children, in patients for whom a functional hearing loss is suspected, for audiometric configuration confirmation, for ototoxic drug monitoring, and in hearing aid candidacy. More recently, OAEs, in conjunction with ABR, can be used in identifying individuals with auditory neuropathy, also termed auditory dyssynchrony. Ref: Sweetow R.W., Sabes J.H. (2012). Chapter 45. Audiologic Testing. In A.K. Lalwani (Ed), CURRENT Diagnosis & Treatment in Otolaryngology--Head & Neck Surgery, 3e.